Episodic muscular weakness is seen in-
1. ↓K+
2. Lambert Eaton syndrome
3. Multiple sclerosis
4. All of the above

Correct answer: 4. All of the above